In intra-epithelial region of mucosa of intestine, predominant cell population is that of:
1. B cell
2. T-cells
3. Plasma cells
4. Basophils

Correct answer: 2. T-cells

Explanation: Intraepithelial lymphocytes are distinctive population of T cells dispersed among luminal epithelial cells, particularly in small intestine, there is predominance of CD-8 T cells.